Blanket consent is consent taken -
1. When the patient comes to doctor for treatment
2. Oral consent
3. Written consent
4. Taken at the time of admission to do any surgery

Correct answer: 4. Taken at the time of admission to do any surgery

Explanation: Blanket consent is consent taken at time of admission to do any surgery. It should never be taken. Written consent should be taken for specific procedures ref :.Dr. K. S. Narayan Reddys Synopsis of Forensic Medicine & Toxicology 27th edition pg. 26.